Dysphagia is the awareness of something
1. Gurgling in the throat
2. Gushing in the throat
3. Sticking in the throat
4. Slushing in the throat

Correct answer: 3. Sticking in the throat